All of the following are described surgical procedures for CTEV except
1. Dwyer's osteotomy
2. Posteromedial soft tissue release
3. Triple Arthrodesis
4. Salter's osteotomy

Correct answer: 4. Salter's osteotomy

Explanation: Answer- D. Salter's osteotomyTendon transfer :- Transfer of tibialis - anterior on the outer side of foot. This can be done only after 5 years.Dwyer osteotomy :- Medial open wedge osteotomy of calcaneum to correct heel varus.Gradual diferential distraction :- In this an external fixator (JESS or Illizarov) is applied and gradual correction of deformity> 10 years:- Triple arthrodesis (subtalar, calcaneo-cuboid, and talonavicularjoints)